Malloru byaline bodies are seen all except
1. Indian childhood cirrhosis
2. Wilson's disease
3. Alcoholic hepatitis
4. Crigler .najjar syndrome

Correct answer: 4. Crigler .najjar syndrome

Explanation: Ref , Robbins 7/e p905